All of the following drugs are HIV protease inhibitors except?
1. Indinavir
2. Abacavir
3. Atazanavir
4. Ritonavir

Correct answer: 2. Abacavir

Explanation: Drugs ending with 'NAVIR' are HIV protease inhibitors. Abacavir is a nucleoside reverse transcriptase inhibitor of HIV